Heck's disease is another name for
1. Focal epithelial hyperplasia
2. Fibromatosis gingiva
3. Oral melanotic macule
4. Hereditary intestinal polyposis syndrome

Correct answer: 1. Focal epithelial hyperplasia